A 6-month-old baby with severe pallor and hepatosplenomegaly. Similar history is present in a sibling. Investigation of choice:
1. Bone marrow biopsy
2. Hb electrophoresis
3. Hb estimation
4. Platelet count

Correct answer: 2. Hb electrophoresis

Explanation: b. Hb electrophoresis(Ref: Nelson's 20/e p 2323-2325, Ghai 8/e p 334-335)Presence of pallor and hepatosplenomegaly at 6 months of age with a positive family history indicates towards thalassemia major, which can be diagnosed by Hb electrophoresis.